The floor of the occlusal rest is:
1. Ledge shaped
2. Half pear shaped
3. Spoon shaped
4. Half moon shaped

Correct answer: 3. Spoon shaped